If Apgar score is 6 then:
1. Child is normal
2. Child is moderately distressed
3. Severely distressed
4. It requires immediate resuscitation

Correct answer: 2. Child is moderately distressed

Explanation: Ans. b. Child is moderately distressedApgar evaluation of new-born infantsEvaluation0 Point1 Point2 PointsHeart rate0<100/min>100/minRespirationNoneIrregular, shallow, gaspsGood, CryingColourBluePale, blue extremitiesPinkMuscle ToneNoneWeak, passiveActiveReflex irritabilityNoneFacial grimaceActive withdrawalINFERENCE OF SCORINGScore 0-3: Poor conditionScore 4-7: Fair conditionScore 8-10: Good condition Note:An infant with score of 0-3 requires immediate resuscitation.Infants with 5 min, Apgar score of 7-10 served as the reference group.